'Dropped shoulder' occurs due to paralysis of -
1. Deltoid
2. Teres major
3. Trapezius
4. Serratus anterior

Correct answer: 3. Trapezius

Explanation: Dropped shoulder occurs due to paralysis of Trapezius.